A girl falls in love with a film star & believes that he also loves her. It is best exemplified by?
1. Persecutory delusion
2. Grandiose delusion
3. Erotomania
4. Nymphomania

Correct answer: 3. Erotomania

Explanation: Ans. is 'c' i.e., Erotomania* Erotomania (Delusions of love): - False belief that another person is in love with one (commoner in woman). In one form, termed de clerambault sydrome, a woman (usually) believes that a man, frequently older and of higher status, is in love with her. Erotomania is seen in Schizophrenia, delusional disorders and bipolar maniaAbout other options* Persecutory delusions (paranoid): - There is false belief that one is being harmed, threatened, cheated, poisoned, harassed or spied on or is a victim of conspiracy to damage his reputation.* Grandiose delusion (expansive delusions): - False belief that one is exceptionally powerful, talented or important.* Nymphomania : - excess sexual desire in females